Operculated eggs are seen in -
1. Nematodes
2. Cestodes
3. Tremalodes
4. Protozoa

Correct answer: 3. Tremalodes

Explanation: Ans. is 'c' i.e., Trematodes o Operculated eggs has a little cap like structure (operculum) at the end. The operculum pops open when the next stage is ready to emerge.o The trematodes (flukes) lay operculated eggs. An exception is schistosome egg, which are not operculated.